Hampton's hump are seen in which of the following condition?
1. Pulmonary artery embolism
2. Pulmonary venous embolism
3. Coronary artery embolism
4. Cerebral embolism

Correct answer: 1. Pulmonary artery embolism

Explanation: Pulmonary artery embolism Hampton's hump refers to a triangular or wedge shaped area of infarct secondary to non-acute pulmonary artery embolism.